3 months old infant, no chest indrawing with respiratory rate 52/minute. Diagnosis is
1. No pneumonia
2. Pneumonia
3. Severe pneumonia
4. Very severe disease

Correct answer: 2. Pneumonia

Explanation: Ans. is 'b' i.e., Pneumonia This infant has:? Fast breathing (.. 50 per minute between 2 months to 1 years). No chest indrawing. Diagnosis is Pneumonia.